Beevor's Sign is seen in:
1. Abdominal muscle
2. Facial muscle
3. Respiratory muscle
4. Hand muscle

Correct answer: 1. Abdominal muscle

Explanation: Answer is A (Abdominal muscle) : Beevor's sign is seen in relation to abnormal abdominal muscle contraction Beevor's Sign (Thoracic Cord Lesion) Beevor's sign refers to upward movement of the umbilicus when the abdominal muscle contracts Beevor's sign represents a consequence to a Thoracic Cord lesion Lesions at T9-T10 paralyze the lower- but not the - upper abdominal muscles resulting in an upward movement of the umbilicus when the abdominal muscle contracts